What is the most common cause of deafness in a patient of Nasopharyngeal Carcinoma:
1. Metastasis to Temporal Bone
2. Middle ear Infection
3. Serous otitis media
4. Infiltration of Tumour middle ear

Correct answer: 3. Serous otitis media

Explanation: Nasopharyngeal carcinoma Due to obstruction of eustachian tube , there is serous otitis media and leads to hearing loss. M/C site of origin - Fossa of Rosenmuller M/C type - Squamous cell carcinoma M/C Presentation - cervical lymphadenopathy (Neck Mass)